Tear strength for impression material is highest for:
1. Condensation silicone
2. Alginate
3. Poly sulfide
4. Addition silicone

Correct answer: 3. Poly sulfide